h/o consumption of rice milk, child preseting with protruded abdomen low albumin but no proteinuria what is the probable diagnosis ?
1. kwashiorkar
2. marasmus
3. nephrotic syndrome
4. liver failure

Correct answer: 1. kwashiorkar

Explanation: Kwashiorkor Clinical Manifestations Diagnostic Signs : Edema , Muscle wasting Psychomotor changes Common Signs : Hair changes , Diffuse depigmentation of skin , Moonface , Anemia Occasional Signs: Flaky-paint , rash , Noma , Hepatomegaly Laboratory: 1. Decreased serum albumin 2. EEG abnomalities 3. Iron & folic acid deficiencies 4. Liver biopsy fatty or fibrosis may occur ref : op ghai 9th ed